All of the following have inhibitory effect on secretion of gastric, except-
1. Acid in duodenum
2. VIP
3. Epinephrine
4. Glucagon

Correct answer: 3. Epinephrine

Explanation: Ans. (c) Epinephrine(Ref: Ganong, 25th ed/p.468)Stimuli that increase gastrin secretion:#Peptides, amino acids (Phenylalanine, tryptophan), Distention, Gastrin releasing peptide, Calcium, EpinephrineStimuli that decrease gastrin secretion:#Acid, somatostatin, Secretin, GIP, VIP, glucagon, calcitonin